Which one is not the bad prognostic sign for pancreatitis -
1. TLC > 16000
2. Calcium less than 8 mmol/L
3. Glucose > 200 mg%
4. Prothrombin > 2 times the control

Correct answer: 4. Prothrombin > 2 times the control

Explanation: Ans is 'd' ie Prothrombin > 2 times the control Ranson has identified a series of prognostic signs for early identification of patients with severe pancreatitis. There are 11 objective parameters, 5 are to be measured at the time of admission, whereas the remaining 6 are measured within 48 hours of admission. Morbidity and mortality of the disease are directly related to the number of signs present. Number of Ranson's signs Approximate mortality 0-2 0% 3-4 ----> 15% 5-6 ---> 50% >6 --> 70-90% Ranson's Prognostic signs of Acute Pancreatitis At admission During the initial 48h Age > 55 y Hematocrit fall > 10 points WBC > l 6,000/1=3 BUN elevation > 5 mg/dL Blood glucose > 200 mg/dL Serum calcium < 8 mg/dL Serum LDH > 350 IU/L Arterial P02 < 60 mm Hg Serum AST > 250 U/dL Base deficit > 4 mEq/L Estimated fluid sequestration > 6 L Also know The above given criteira are for Pancreatitis caused by causes other than gallstones. The prognostic criteria for acute gall stone pancreatitis are slightly different. These are: Criteria for gallstone pancreatitis At admission During the initial 48 h Age > 70 y Hematocrit fall > 10 points WBC > 18,000/mm3 BUN elevation > 2 mg/dL Blood glucose > 220 mg/dL Serum calcium < 8 mg/dL Serum LDH > 400 IU/L Base deficit > 5 mEq/L Serum AST > 250 U/dL Estimated fluid sequestration > 4L